Webbing of neck, increased carrying angle, low posterior hair line and short fourth metacarpal are characteristics of-
1. Klinefelter syndrome
2. Turner syndrome
3. Cri du chat syndrome
4. Noonan syndrome

Correct answer: 2. Turner syndrome

Explanation: Ans. is 'b' i.e., Turner's syndrome